A 38-year-old patient is admitted to the dental clinic with acute dental pain. The attending dentist found penetrating dental caries (tooth decay) affecting one of the mandibular molar teeth. Which of the following nerves would the dentist need to anesthetize to remove the caries in that tooth?
1. Lingual
2. Inferior alveolar
3. Buccal
4. Mental

Correct answer: 2. Inferior alveolar

Explanation: The inferior alveolar branch of the mandibular division of the trigeminal nerve provides sensory innervation to the mandibular teeth and would require anesthesia to abolish painful sensation. The lingual nerve provides taste and sensation to the anterior two thirds of the tongue and carries general sensory fibers, taste fibers, and parasympathetic fibers. It does not provide sensory innervation to the teeth. The buccal nerve provides sensory innervation to the inner surface of the cheek. The mental nerve is the distal continuation of the inferior alveolar nerve as it exits the mental foramen of the mandible and does not affect the teeth. The nerve to the mylohyoid is a motor branch of the inferior alveolar nerve that supplies the mylohyoid and the anterior belly of the digastric.